All are true about Allergic Broncho Pulmonary Aspergilloma except?
1. Distal bronchiectasis
2. Serum precipitins to Aspergillus
3. Increased IgE Levels
4. Seen in asthmatics

Correct answer: 1. Distal bronchiectasis

Explanation: A.B.P.A - Allergic Broncho Pulmonary Aspergilloma is common in asthmatics. C/O Black sputum plugs 1. IgE | 2. Sputum culture - A. fumigatus present. 3. CT Chest- CENTRAL BROCHIECTASIS (characteristic feature of ABPA) 4. S. Precipitins against Aspergillus species (Best way to diagnose)